Net weight gain in pregnancy is :
1. 11 lb
2. 24 lb
3. 36 lb
4. 42 lb

Correct answer: 2. 24 lb

Explanation: 24 lb